Primary hyperaldosteronism does not have -
1. Ankle oedema
2. Polyuria
3. Hypertension
4. Hypokalemia

Correct answer: 1. Ankle oedema